An 18-year-old man who is known to have non penicillinase producing gonococcal urethritis is given an injection of penicillin and probenecid. What is the mechanism used by probenecid that makes penicillin more efficacious
1. Promotes entry of the penicillin into the bacteria
2. Prolongs the duration of action by affecting the liver metabolism of penicillin
3. Decreases the bacterial resistance by inhibiting penicillinase production
4. Increases the half-life and serum level by decreasing the renal excretion of penicillin

Correct answer: 4. Increases the half-life and serum level by decreasing the renal excretion of penicillin

Explanation: Probenecid decreases the renal excretion of penicillin, thereby increasing both the half-life and the serum level. Ref:- KD Tripathi